All of the following statements about synovial cell sarcoma, are true, except -
1. Originate from synovial lining
2. Occur more often at extraarticular sites
3. Usually seen in patients less than 50 years of age
4. Knee and foot are common sites involved

Correct answer: 1. Originate from synovial lining

Explanation: SYNOVIAL SARCOMA Synovial sarcoma is so named because it was once believed to recapitulate synovium, but the cell of origin is still unclear. In addition, although the term synovial sarcoma implies an origin from the joint linings, less than 10% are intra-articular. Synovial sarcomas account for approximately 10% of all soft tissue sarcomas and rank as the fourth most common sarcoma. MORPHOLOGY. The histologic hallmark of synovial sarcoma is the biphasic morphology of the tumor cells (i.e., epithelial-like and spindle cells). Immunohistochemistiy is helpful in identifying these tumors, since the epithelioid and spindle cell portions yield positive reactions for keratin and epithelial membrane antigen, differentiating these tumors from mos other sarcomas. ref : maheswari 9th ed